Site not used for measurement of skin fold thickness
1. Mid-triceps area
2. Supra-iliac region
3. Gluteal region
4. Biceps area

Correct answer: 3. Gluteal region

Explanation: Skin fold thickness (SFT) is measured at 4 sites Mid-triceps region Biceps region Subcapsular region Supra iliac region Ref : Park 25th edition Pgno : 418